Which type of RNA has the highest percentage of modified base ?
1. mRNA
2. tRNA
3. rRNA
4. snRNA

Correct answer: 2. tRNA

Explanation: In eukaryotic cells, 10-20% of the bases in tRNA may be modified and known as modified or unusual bases.